Increased ventilation at start of exercise is due to?
1. Stretch receptors
2. Proprioceptors
3. Pain receptors
4. T PCO

Correct answer: 2. Proprioceptors

Explanation: Ans. is 'b' i.e., Proprioceptors[Ref Ganong 23'd/e p. 636)In moderate exercise the abrupt increase in ventilation at the start of exercise is due to psychic stimuli and afferent impulsE from proprioceptors in muscles, tendons and joints.Arterial pH, PCO2, and PO2, remain constant during moderate exercise because increase in ventilation is proportionate to increase in O, consumption.